The hormone using an enzyme receptor for its action:
1. Insulin
2. Steroid
3. Oestrogen
4. Thyroxine

Correct answer: 1. Insulin

Explanation: A i.e. Insulin